Cell present in large numbers in the peritonel fluid of Tuberculous peritonitis are -
1. Eosinophils
2. Polymorphs
3. Lymphocytes
4. Monocytes

Correct answer: 3. Lymphocytes